Which of the following is the most common initial presenting feature of multiple sclerosis:
1. Optic Neuritis
2. Cerebellar Ataxia
3. Internuclear ophthalmoplegia
4. Diplopia

Correct answer: 1. Optic Neuritis

Explanation: Optic Neuritis is the most frequent initial presenting feature of MS amongst the options provided. The most common earliest presenting features of multiple sclerosis are transient sensory defects followed by visual disturbances due to optic neuritis REF: Harrison book of internal medicine 21ST EDITION